Amifostine, protects all of the following organs, EXCEPT:
1. GIT
2. CNS
3. Kidneys
4. Salivary glands

Correct answer: 2. CNS

Explanation: Amifostine is approved for toxicities of treatment from chemotherapy and radiation such as myelosupression and radiation induced xerostomia and has efficacy in the prevention of nephrotoxicity. It does not protect brain and spinal cord because this drug does not cross the blood brain barrier. Ref: Biomedical Physics in Radiotherapy for Cancer By Loredana Marcu, Page 441; Late Effects of Treatment for Brain Tumors By Stewart Goldman, Page 206